Injury to which of the following nerves leads to paralysis of the posterior belly of the digastric muscle?
1. Accessory nerve
2. Trigeminal nerve
3. Ansa cervicalis
4. Facial nerve

Correct answer: 4. Facial nerve

Explanation: The posterior belly of digastric is innervated by the Facial nerve, whereas the anterior belly is innervated by the mandibular division of Trigeminal nerve. The Accessory nerve supplies the sternocleidomastoid and trapezius muscles. The Ansa cervicalis innervates the infrahyoid (or strap) muscles.